Conversion of lactate to glucose requires all except
1. Pyruvate carboxylase
2. Phosphofructokinase
3. PEP carboxykinase
4. Glucose-6-phosphatase

Correct answer: 2. Phosphofructokinase

Explanation: Step 3 of Glycolysis i.Fructose-6-phosphate is further phosphorylated to fructose1,6-bisphosphate. The enzyme is phosphofructokinase. ii.PFK is an allosteric, inducible, regulatory enzyme. It is an important key enzyme of this pathway. This is again an activation process, the energy being derived by hydrolysis of yet another molecule of ATP. This irreversible step is the rate-limiting reaction in glycolysis. The lactate formed in the muscle is transported to the liver. In the liver cell lactate dehydrogenase converts lactate to pyruvate (Fig. 9.28). The pyruvate enters the gluconeogenic pathway to form glucoseRef: DM Vasudevan, 7th edition, page no: 109